Haldane effect is:
1. Effect of O2 on CO2 carriage in blood
2. Effect of CO2 on O2 carriage in blood
3. Effect of PCO2 on CO2 carriage in blood
4. Effect of pH on oxygen carriage in blood

Correct answer: 1. Effect of O2 on CO2 carriage in blood

Explanation: In the tissues, Hb unloads its oxygen and takes up CO2. CO2 enters red cells and combines with water to form H2CO3. CO2 + H2O - H2CO3 - H+ + HCO3- The H+ ions are taken up by the Hb (to form HHb); it is aided by the fact that deoxyhemoglobin is a better acceptor of H+. Also, deoxyhemoglobin more readily forms carbamino compounds. In lungs, the reactions are reversed. The inhaled O2 combines with Hb. Oxyhemoglobin is a better donor of H+; H+ is now released by Hb. H+ combines with HCO3- to form H2CO3. H2CO3 - CO2 + H2O. CO2 will be exhaled out. Thus, unloading of O2 in peripheral capillaries facilitates the loading of CO2, and oxygenation, in the lung-enhances the unloading of CO2. This has been termed "Haldane effect". Option A is correct.